True about spinal cord:
1. In adults spinal cord ends at lower border of L1 vertebra
2. In newborn may extend up to L3
3. Cauda equine extends from lumbar vertebra to coccyx
4. All

Correct answer: 4. All

Explanation: A, B, C i.e. In adults spinal cord ends at lower border of Li vertebra, In newborn may extend up to L3, Cauda equine extends from lumbar vertebra to coccyx